Features of obsessive-compulsive neurosis are
1. Repetitiveness
2. Irresistibility
3. Unpleasantness
4. All

Correct answer: 4. All

Explanation: A i.e. Repetetiveness; B i.e. Irresistibility; C i.e. Unpleasantness